Degloving injury is:
1. Surgeon made wound
2. Lacerated wound
3. Blunt injury
4. Avulsion injury

Correct answer: 4. Avulsion injury

Explanation: Ans. D i.e. Avulsion injury Degloving injury It is a type of avulsion in which an extensive section of skin is completely torn off the underlying tissue, severing its blood supply. It is named by analogy to the process of removing a glove. Typically, degloving injuries affect the extremities and limbs.